All of the following pairs regarding adductor canal are true EXCEPT:
1. Roof: Sartorius Muscle
2. Contents: Femoral Nerve
3. Floor: Adductor longus and Magnus
4. Antero-lateral boundary: Vastus Medialis

Correct answer: 2. Contents: Femoral Nerve

Explanation: Femoral nerve is not a content of adductor canal. Saphenous nerve, a branch of femoral nerve is present in the canal and passes anterior to femoral artery Adductor canal- Anteromedial wall -sartorius. Posterior wall -adductor longusandadductor magnus. Laterally -vastus medialis. content- The canal contains thesubsartorial artery (superficial femoral artery), subsartorial vein (superficial femoral vein), saphenous nerve, and thenerve to the vastus medialis).